Wickham's striae is a feature of:
1. Psoriasis
2. Pityriasis rosea
3. Lichen planus
4. Vitiligo

Correct answer: 3. Lichen planus

Explanation: Ans. C: Lichen Planus Lichen planus is an uncommon skin complaint. It is thought to be due to an abnormal immune reaction provoked by a viral infection (such as hepatitis C) or a drug. Inflammatory cells seem to mistake the skin cells as foreign and attack them. Classical lichen planus is characterized by shiny, flat-topped, firm papules (bumps) varying from pin point size ('guttate') to larger than a centimetre. They are a purple colour and often are crossed by fine white lines (called 'Wickham's striae'). They may be close together or widespread, or grouped in lines (linear lichen planus) or rings (annular lichen planus). Linear lichen planus can be the result of scratching or injuring the skin. Although sometimes there are no symptoms, it is often very itchy. Lichen planus may affect any area, but is most often seen on the front of the wrists, lower back, and ankles. On the palms and soles the papules are firm and yellow. Very thick scaly patches are particularly itchy and are most likely to arise around the ankles (hypertrophic lichen planus).